Human papillomatosis is caused by?
1. INV
2. HPV
3. HIV
4. HBV

Correct answer: 2. HPV

Explanation: Ans. is b i.e., HPV Human upper respiratory papillomatosis is due to infection with human papilloma virus (HPV) type 6 and 11.